Floating teeth syndrome is seen in:
1. Cherubism.
2. Eosinophillic granuloma.
3. Hand-Schuller-Christian disease.
4. All of the above.

Correct answer: 4. All of the above.